Point at which pulp tissue ends and periodontal tissue begins is known as
1. Accesory canal
2. Cementoenamel junction
3. Cementodentinal junction
4. Dentinoenamel junction

Correct answer: 3. Cementodentinal junction